A 37 year old male patient was diagnosed with sarcoidosis of lung and was kept on glucocorticoid therapy. The treatment may result in the bone loss because glucocorticoids causes which of the following?
1. Increases calcium absorption from the gastrointestinal tract
2. Increased osteoblast growth
3. Inhibit bone formation
4. Inhibit bone resorption

Correct answer: 3. Inhibit bone formation

Explanation: Glucocorticoids increase bone resorption. They have multiple actions that alter bone metabolism.Glucocorticoids decrease intestinal Ca++ absorption and renal Ca++reabsorption. Both mechanisms serve to lower serum . As serum drops, secretion of parathyroid hormone PTH) increases, which mobilizes Ca++from bone by stimulating resorption of bone. Glucocorticoids also directly inhibit osteoblast bone-forming functions.Reference: Berne & Levy Medical Physiology; 6th edition; Page no: 749